Streak ovaries are seen in:
1. Klinefelter syndrome
2. Turner syndrome
3. Down syndrome
4. Kallamann syndrome

Correct answer: 2. Turner syndrome

Explanation: Ans. Turner syndrome